Cause of Opaque hemithorax
1. Poland's syndrome
2. Mcleod's syndrome
3. Congenital lobar emphysema
4. Foreign body

Correct answer: 4. Foreign body

Explanation: A, b, c are causes of U/L hypertranslucent hemithorax.